A 25 years old nulliparous woman with third degree uterine descent but no cystocele or rectocele or enetrocele is best treated with :
1. Fothergill's repair
2. Abdominal sling operation
3. Amputation of the cervix and reconstruction
4. Lefort's operation

Correct answer: 2. Abdominal sling operation

Explanation: Abdominal sling operation